A 43 - year - old lady presents with colicky right upper quadrant pain which radiates to right shoulder and is exacerbated by eating fatty foods. Which of the following radiological investigations should you request first ?
1. Abdominal ultrasound
2. Abdominal CT
3. Abdominal X - ray
4. Magnetic resonance cholangiopancreatography

Correct answer: 1. Abdominal ultrasound

Explanation: Clinical presentation is suggestive of Gall stones. 1st investigation to be performed is abdominal ultrasound, as most of the gall stones are radiolucent.